Which of the following carbohydrate metabolism is used for liver function assessment?
1. Galactose intolerance test
2. Sucrose intolerance test
3. Glucose intolerance test
4. Lactose intolerance test

Correct answer: 1. Galactose intolerance test

Explanation: Ans: a (Galactose intolerance test) Ref: Vasudevan 4th ed/p.484Galactose is almost exclusively metabolised by liver.The rate limiting step is initial conversion of galactose to galactose-1 -phosphate.The rate of utilisation of galactose is directly proportional to functional liver mass.Reactions and its rate limiting enzymes:-1) Glycolysis - Phosphofructokinase2) Glycogen synthesis - Glycogen synthetase3) Glycogenolysis - Glycogen phosphorylase4) TCA cycle - Isocitrate dehydrogenase5) Fatty acid synthesis - Acetyl CoA carboxylase6) Cholesterol synthesis - HMG CoA reductase7) Ketone body synthesis - HMG CoA synthetase8) Bile acid synthesis - 7-'?-hydroxylase9) Catecholamine synthesis - Tyrosine hydroxylase10) Urea synthesis - Carbamoyl transferase